Pulmonary blood flow increased in all except:
1. ASD
2. VSD
3. TOF
4. Transposition of great arteries (TGA)

Correct answer: 3. TOF

Explanation: Answer- (C) TOFTruncus Arteriosus, complete TGA and TAPVC are associated with increased pulmonary blood flow.TOF- When the RV outllow obstruction is severe, pulmonary blood llow is reduced marked.